Which of these is NOT a pair of salivary glands?
1. Parotid
2. Submandibular
3. Submucosal
4. Sublingual

Correct answer: 3. Submucosal

Explanation: A: The largest of the salivary glands, the parotid glands, are serious glands located just anterior to each ear. Parotid ducts enter the oral cavity adjacent to the second upper molars.
B: The submandibular glands produce more serious than mucous secretions. Each gland can be felt like a soft lump along the inferior border of the mandible. The submandibular ducts open into the oral cavity on each side of the frenulum of the tongue.
D: The sublingual glands, the smallest of the three paired salivary glands, produce primarily mucous secretions. They lie immediately below the mucous membrane in the floor of the oral cavity